Alpha Lynch Howarth surgery is for
1. Nasal septal perforation
2. Chronic frontal sinusitis
3. Acoustic neuroma
4. Otosclerosis

Correct answer: 2. Chronic frontal sinusitis

Explanation: External frontoethmoidectomy (Howarth's or Lynch operation) - The frontal sinus is entered through its floor by a curvilinear incision round the inner margin of the orbit. Diseased mucosa is removed, ethmoid cells exenterated and a new frontonasal duct created. Ref- Dhingra, 6th edition , page 196.